Primary amenorrhea is when :
1. Menstruation does not occur even after 18 year
2. Menstruation does not occur even after 15 year of age
3. Imperforate hymen exists
4. None of the above

Correct answer: 2. Menstruation does not occur even after 15 year of age

Explanation: Menstruation does not occur even after 15 year of age